Most common cause of aneurysm of abdominal aorta is -
1. Trauma
2. Atherosclerosis
3. Syphilis
4. Cystic medial necrosis

Correct answer: 2. Atherosclerosis

Explanation: Ans. is 'b' i.e., Atherosclerosis